The WHO theme for 1996-97 is
1. Oral health
2. Cities
3. Polio
4. Cancer

Correct answer: 2. Cities